Resting membrane potential in nerve is-
1. + 70 mv
2. - 70 mv
3. + 90 mv
4. - 90 mv

Correct answer: 2. - 70 mv

Explanation: Ans. is 'b' i.e., - 70 mv "In neurons, the resting membrane potential is usually about - 70 mV, which is close to the equilibrium potential for K+". ____ Ganong 23rd/e 84